32-year man presented with fever and pain in upper right hypochondrium after food intake. Investigation of choice;
1. CECT
2. Ultrasound
3. MRI
4. HRCT

Correct answer: 2. Ultrasound

Explanation: Ultrasound is Investigation of choice for Gall stone Acute cholecystitis Acute acalculous cholecystitis Chronic cholecystitis